Section of 1PC dealing with grevious injury:
1. 375
2. 378
3. 320
4. 230

Correct answer: 3. 320

Explanation: Ans: c (IPC 320) Ref: Reddy, 27th ed, p. 256Grievous hurt is defined under IPC 320Some important IPC'sIPC 375 -definition of rapeIPC 376 -punishment of rapeIPC 320 -definition of grievous heartIPC 84 -deals with the criminal responsibility of insaneIPC 304A -deals with criminal negligenceIPC 304B -dowry deathIPC 300 -defines murderIPC 299 -defines culpable homicideIPC 302-punishment of murderIPC 304 -punishment of culpable homicide